Which of the following is vitamin K-dependent clotting factor?
1. Factor VII
2. Factor I
3. Factor XI
4. Factor XII

Correct answer: 1. Factor VII

Explanation: Ans. (A) Factor VII(Ref: Ganong, 21/e p547)Vitamin K-dependent factors are clotting factor II (prothrombin), VII, IX, and X and anti-clotting factors protein C and protein S.